Nephrotic syndrome is caused by all systemic disease EXCEPT
1. Atherosclerosis
2. DM
3. SLE
4. Amyloidosis

Correct answer: 1. Atherosclerosis

Explanation: A. i.e. (Atherosclerosis) (1790-HI7th) (684 - harsh Mohan 5th)NEPHROTIC SYNDROME - presents with heavy proteinuria minimal hematuria, hypoalbuminemia, hypercholesterolemia, edema and hypertensionCauses of nephrotic syndrome1. Primary Glomerulonephritis2. Systemic disease3. Systemic Infections1. Minimal change disease (Most common in children)*2. Membranous GN {Most common in adults)*3. Membranoproliferative GN4. Focal segmental glomerulosclerosis5. Focal GN6. IgA nephropathy1. DM2. Amyloidosis3. SLE1. Viral infection HBV, HCV, HIV2. Bacterial (Bacterial endocarditis, syphilis leprosy)3. Protozoa and parasites (P.falcipa malaria, filariasis4. Hypersensitivity Reactions1. Drugs (gold, mercury, penicillamine, trimethadione, tolbutamid, heroin addiction2. Bee stings, snakebite, poison ivy5. Malignancy* Carcinomas* Myeloma* Hodgin's disease6. Hereditary Disease7. Pregnancy8. Circulatory Disturbances1. Alport's disease2. Fabry's disease3. Nail - patella syndromeToxaemia of pregnancy1. Renal vein thrombosis2. Constrictive pericarditis